NOT true about fungal Corneal ulcer
1. Excruciating pain in the eye
2. Feathery margins
3. Large hypopyon, non sterile and non mobile
4. Multiple satellite like lesions

Correct answer: 1. Excruciating pain in the eye

Explanation: Fungal Corneal ulcer is painless.